Biochemical test in thiamine deficiency is:
1. FIGLU test
2. Histidine test
3. Erythrocyte transketolase test
4. Ferric chloride test

Correct answer: 3. Erythrocyte transketolase test

Explanation: Ans. C. Erythrocytes transketolase testa. In thiamine deficiency - the most reliable is the measurement of whole blood or Erythrocytes Transketolase activity.b. FIGLU test and Histidine test - Formimino-glutamate (FIGLU), a catabolite of histidine, transfers its formimino group to H4- to form N5 formimino-H4 folate. In folate deficiency FIGLU will accumulate after oral challenges with histidine.c. FeCl3 test: -i. In phenyl ketonuria - gives Emerald green, when tested with fresh urineii. In maple-syrup urine disease - gives navy blue colour when tested with urineiii. Also used to detect aceto-acetic acid in Gerhardt's test